Burkitt's lymphoma is -a) B cell lymphomab) 6, 14 translocationc) Can present as abdominal massd) Radiotherapy is used in treatment
1. a
2. bc
3. ac
4. b

Correct answer: 3. ac